If the prevalence of a disease in a population increases,  the predictive value of a positive test -
1. Decreases
2. Increases
3. Remains constant
4. Becomes compromised

Correct answer: 2. Increases

Explanation: Effect of prevalence on positive predictive value -
As prevalence of disease increases in a population, PPV of screening test increases.
It is easy to understand, if the number of patients increases in a population the probability of a positive test will also increases.
See following examples